Which of the following sympathetic receptors acts as vasoconstriction and vasodilatation:
1. Alpha 1 and Alpha 2
2. Alpha 1 and Beta 1
3. Alpha 1 and Beta 2
4. Beta 1 and Beta 2

Correct answer: 3. Alpha 1 and Beta 2

Explanation: (Ref: Katzung 14th ed. pg. 145-47)Alpha 1 and Beta 2 receptors present at blood vessels causing vasoconstriction and vasodilatation respectively.Sympathetic receptors, their location, function and G protein.ReceptorLocationFunctionG-Proteina1BV, smooth muscle, Salivary glandsVasoconstriction Increase secretionGqa2Presynapse Beta pancreatic cellBrake/Inhibit NA releaseDecrease insulin releaseGib1Heart JG cellInc Heart rate Renin releaseGsb2LungsSmooth muscle LiverBronchodilatation Relaxation of smooth muscles GlycogenolysisGsb3Adipocyte Detrusor muscleLipolysis, thermogenesis Bladder relaxGs